Non-gonococcal urethritis is caused by:
1. Chlamydia
2. LGV
3. Syphilis
4. Gardnella vaginalis

Correct answer: 1. Chlamydia

Explanation: Ans. A i.e. Chlamydia